Drug used in mild hemophilia is :
1. Corticosteroids
2. DDAVP
3. Vitamin K
4. Tranexamic acid

Correct answer: 2. DDAVP